Bigelow's ligament is at
1. Knee joint
2. Shoulder joint
3. Hip joint
4. Ankle joint

Correct answer: 3. Hip joint

Explanation: C. i.e. Hip joint